Which antibodies in mother with SLE is responsi-ble for congenital heart disease in child-
1. Anti-histone
2. Anti-Ro & Anti-LA
3. Anti ds DNA
4. Anti-centromere

Correct answer: 2. Anti-Ro & Anti-LA

Explanation: Robbins and cotran pathologic basis of disease South Asia edition. *Ro/La-30 to6 50 %positive associated with congenital heart block and neonatal lupus.